Causes of nephrocalcinosis are -
1. Hyperparathyroidism
2. T.B. Kidney
3. Hypercalcemia
4. All

Correct answer: 4. All

Explanation: Ans. is 'a' i.e., Hyperparathyroidism; 'b' i.e., T.B. Kidney; 'c' i.e., Hypercalcemia